In pterygium, which layer of cornea is involved most often -
1. Epithelium
2. Endothelium
3. Bowman's layer
4. Descemet's membrane

Correct answer: 3. Bowman's layer

Explanation: Pterygium is a growth from conjunctiva, In cornea, it involves Bowman's layer. Reference : Yanoff & Duker 3rd edition ,page :712